Acute tonsillitis is caused by
1. H. influenza
2. Beta-hemolytic streptococcus
3. Staphylococcus aureus
4. Pneumococcus

Correct answer: 2. Beta-hemolytic streptococcus

Explanation: B. i.e. (Beta hemolytic streptococcus) (240 - Dhingra)ACUTE TONSILLITIS* Haemolytic streptococcus is the most commonly infecting organism others causes may be - staphylococcus pneumococci or H. influenzae* Penicillin is the drug of choice*** Complications include - chronic tonsillitis, peritonsillar abscess, Parapharyngeal abscess cervical abscess,Acute otitis media, Rheumatic fever, acute glomerulonephritis, SABE* Tonsil is supplied by1. Tonsillar branch offacial artery*2. Ascending pharyngeal artery*3. Ascending palatine*4. Dorsal lingual*5. Descending palatine*TREATMENTS* Bedrest, giving plenty of fluids, analgesics* Penicilline is the drug of choice *** Erythromycin and ampicilline may be needed for resistant cases